Concentration of which of the following is maximum in a cell next to water ?
1. Protein
2. Fat
3. Sodium
4. Carbohydrates

Correct answer: 1. Protein

Explanation: Ans. is 'a' i.e., ProteinMost of the cytosol is water, which makes up about 70% of the total volume of a typical cell.Next higher concentration is of proteins. Protein molecules that do not bind to cell membranes or the cytoskeleton are dissolved in the cytosol. The amount of protein in cells is extremely high, and approaches 200 mg/ml, occupying about 2030% of the volume of the cytosol